The most common primary immunodeficiency is:
1. Common variable immunodeficiency
2. Isolated IgA immunodeficiency
3. Wiskott-Aldrich syndrome
4. AIDS

Correct answer: 2. Isolated IgA immunodeficiency

Explanation: Ans. is 'b' i.e., Isolated IgA immunodeficiency(Ref: Harrison, 18th/e, p. 2704 and 17th/e, p. 2058)Selective IgA deficiency is the most common primary immunodeficiency, familial (more common), naive B cells are not able to differentiate into IgA producing cells. Along with IgA, IgG2 and IgG4 may also be reduced.